Dendritic cell located in the stratified squamous keratinizing epithelium of the oral cavity include
1. Keratinocytes
2. Mast cells
3. Melanocytes
4. Myoepithelial cells

Correct answer: 3. Melanocytes